The buccal frenal attachment of mandibular denture should 
be trimmed and rounded to allow proper function of
1. Massetor
2. Buccinator
3. Triangularis
4. Zygomaticus major

Correct answer: 3. Triangularis